Shaken baby syndrome triad includes all except:
1. Retinal hemorrhaging
2. Brain swelling
3. Subdural hematoma
4. CSF Rhinorrhea

Correct answer: 4. CSF Rhinorrhea

Explanation: This syndrome was first reported by Guthkelch in 1971.